Commonest cause of periumbilical pain after 30 min. of TURP done under spinal anesthesia with Bupivacaine
1. Meteorism
2. Perforation of bladder
3. Recovery from bupivacaine anaesthesia
4. Mesentery artery irt schemia

Correct answer: 2. Perforation of bladder

Explanation: Ans is 'b' ie Perforation of the bladder Perforation of bladder is one of the complications of TURP. It can present with periumblical pain. This pt. experiences pain 30 minutes after TURP. This is because he is under spinal anesthesia. In this pt. the effect of spinal anesthesia terminates 30 min. after the operation. Now he is able to perceive the pain of bladder perforation. Meteorism - is distention of the abdomen or intestines by gas. This is seen in Renal injury but not in TURP.